How long after completion of root of primary tooth ; root of primary tooth start to resorb
1. 1 year approx
2. 2 year approx
3. 3 year approx
4. 4 year approx

Correct answer: 3. 3 year approx